DOC in P. jeroveci -
1. Fluoroquinolone
2. Cotrimoxazole
3. Penicillin
4. Erythromycin

Correct answer: 2. Cotrimoxazole

Explanation: Ans. is 'b' i.e., Cotrimoxazole o Fluoroquinolones are not used in the t/t of pneumocystosis infection."Trimethoprim - sulfamethoxazole (TMP - SMX), which acts by inhibiting folic acid synthesis, is considered the drug of choice for all forms ofpneumocystosisTREATMENT OF PNEUMOCYSTOSISFirst choiceo Trimethoprim-SulphamethoxazoleQOther agentso Trimethoprim + Dapsoneo Atovaquoneo Clindamycin + Primaquine or Pentamidineo Trimetrexate + leucovorinAdjunctive agent o PrednisonePROPHYLAXIS OFPNEUMOCYSTIC CARINHPNEUMONIAPrimary prophylaxis is indicated foro Patients with CD4+ cell counts of < 200/ Lo History of oropharyngeal candidiasisSecondary prophylaxis is indicated foro Both HIV infected and non HIV infected patients,o Who have recovered from pneumocystosis.Primary and secondary prophylaxis may be discontinued in HIV infected persons once.o CD4+ counts have risen to > 200/ L and remained at that level for > 3 months.Also knowFirst choice agent for prophylaxiso Trimethoprim, sulphamethoxazole.Other agents used in prophylaxis.Dapsone, pentamidine.